Anti LKM 3 antibody will be positive in:
1. Hepatitis D
2. Hepatitis B
3. Hepatitis C
4. Autoimmune hepatitis

Correct answer: 1. Hepatitis D

Explanation: Anti LKM 3 antibody will be positive in chronic hepatitis D. MUST KNOW Anti-LKM 1 - Positive In chronic HCV and autoimmune hepatitis Anti-LKM 3 - Positive in chronic HDV ANA, Anti SLA - Positive in autoimmune hepatitis {Antinuclear antibody - autoimmune hepatitis type I, Antibodies to liver-kidney microsomes type 1 - autoimmune hepatitis type II} ALSO KNOW: In chronic HBV and drug induced chronic hepatitis, auto antibodies are uncommon. Ref: Harrison, Edition-18, Page-2568.